The dye used for OCG is:
1. lopanoic acid
2. Sodium diatrozite
3. Biligraffin
4. Meglumine iodothalamate

Correct answer: 1. lopanoic acid

Explanation: Ans. lopanoic acid